Transitional epithelium is seen in all except -
1. Collecting duct
2. Calyces
3. Ureter
4. Bladder

Correct answer: 1. Collecting duct